The Alma-Ata declaration on 'primary health care' was made in the year:
1. 1980
2. 1978
3. 1982
4. 1977

Correct answer: 2. 1978